Which of the following is true regarding salpingostomy
1. It poses higher risk of persistent trophoblastic tissue compared with salpingectomy.
2. Laparotomy is preferred route.
3. It requires suture closure of tubal incision with delayed - absorbable suture.
4. It leads to lower future fertility rates in subsequent pregnancies.

Correct answer: 1. It poses higher risk of persistent trophoblastic tissue compared with salpingectomy.

Explanation: Laparoscopy is preferred surgical treatment for ectopic pregnancy, unless woman is hemodynamically unstable.
Salpingostomy is conservative surgery.
Incision is left unsutured to heal by secondary intention.
Subsequent Pregnancy rates are not reduced.